Infectivity period of measles is:
1. 2 days before and 4 days after appearance of rash
2. 4 days before and 5 days after appearance of rash
3. 4 days before and 1 days after appearance of rash
4. Entire incubation period

Correct answer: 2. 4 days before and 5 days after appearance of rash

Explanation: Infectivity period :-:Period of communicability is the time during which an infectious agent may be transferred directly or indirectly from an infected person to another person Measles patients are infectious from 4 days before to 5 days after the onset of rash. Infectivity period of other diseases:- Chicken pox patients are infectious from 2 days before 5 days after the onset of rash. Mumps patients are infectious from 1 week before to 2 weeks after the onset of parotitis. Rubella patients are infectious from 1 week before to 1 week after the onset of rash.